True about non-competitive inhibition is
1. Km remains same, Vmax decreases
2. Km increases, Vmax remains same
3. Km decreases, Vmax increases
4. Km increases, Vmax increases

Correct answer: 1. Km remains same, Vmax decreases

Explanation: Km V max Competitive | - Non-Competitive - | UN Competitive | |